Hunter Schreger bands are:
1. Dark and light bands of enamel seen in longitudinal ground section
2. Dark and light bands of enamel seen in horizontal ground section
3. Dark and light bands of dentin seen in longitudinal section
4. Dark and light bands of dentin seen in horizontal section

Correct answer: 1. Dark and light bands of enamel seen in longitudinal ground section

Explanation: Hunter-schreger bands are due to change in direction of rods; and are regarded as a functional adaptation to minimize the risk of cleavage due to occlusal forces.